"Egg shell" calcification in hilar nodes suggest:
1. Asbestosis
2. Post irradiation lymphoma
3. Berylliosis
4. Baritosis Bookma

Correct answer: 2. Post irradiation lymphoma

Explanation: Post irradiation lymphoma